Congenital mega colon is confirmed by:
1. Rectal biopsy
2. Sigmoidoscopy
3. Barium enema
4. Invertogram

Correct answer: 1. Rectal biopsy

Explanation: a. Rectal biopsy(Ref: Nelson's 20/e p 1894-1897Ghai 8/e p 285-286)Congenital Aganglionic Megacolon is the other name for Hirschsprung diseaseDiagnosis of Hirschsprung disease is confirmed by rectal biopsy.